A child presents with recurrent bouts of severe cough followed by an audible whoop. Which of the following is considered the best type of specimen to isolate the organism and confirm the diagnosis?
1. Nasopharyngeal swab
2. Cough plate
3. Throat Swabs
4. Anterior Nasal Swab

Correct answer: 1. Nasopharyngeal swab

Explanation: Child in the question is showing features of whooping cough. Definitive diagnosis of whooping cough can be made after isolating Bordetella pertussis from the respiratory tract. Either nasopharyngeal swab or nasopharyngeal aspirate is taken for sampling. Ref: Whooping Cough By Patrick G. Guilfoile, David Heymann, Hilary Babcock page 56-65; Communicable disease control handbook By Jeremy Hawker page 238.